Which of the following is seen in megaloblastic anemia
1. Howell Jolly bodies
2. Cabot ring
3. Basoptilic stippling
4. All of the above

Correct answer: 4. All of the above

Explanation: All the 3 features can be seen in Megaloblastic anemia.